Drug of choice for chemotherapy of cervical cancer is?
1. Cisplatin
2. Vincristine
3. Cyclophosphamide
4. Etoposide

Correct answer: 1. Cisplatin

Explanation: Ans. (a) CisplatinRef: Berek& Novak's Gynecology, 14thed p-1431